Which of the following disorders would more likely be associated with Staphylococcus saprophyticus rather than Staphylococcus aureus?
1. Osteomyelitis
2. Tension pneumothorax
3. Burns
4. Acute cystitis

Correct answer: 4. Acute cystitis

Explanation: Ans:D.)Acute Cystitis. Staphylococcus Aureus. Skin infections are the most common form of S. aureus infection. This can manifest in various ways, including small benign boils, folliculitis, impetigo, cellulitis, and more severe, invasive soft-tissue infections. Also responsible for food poisoning. Most common bacteria associated with conjunctivitis Can cause Toxic shock syndrome. S. aureus is the bacterium that is commonly responsible for all major bone and joint infections. This manifests in one of three forms: osteomyelitis, septic arthritis and infection from a replacement joint surgery. Most common pathogen isolated in sputum of children with cystic fibrosis during the first decade. One of the most common causes of bacteremia and infective endocarditis.Prosthetic valve endocarditis is most commonly caused by Staphylococcus aureus. Important pathogen causing pneumonia in a patient with bronchiectasis. Coagulase negative Staphylococci* Staph epidermidis - MC pathogen infecting IV catheters, shunts, prosthetic valves, grafts, CSF shunts, dialyzer. Can form glycocalyx or slime layer, that protects bacteria from antibiotics* S. saphrophyticus - UTI in sexually active young women.